Ramesh 40 yrs make patient presenting with polyuria,pain abdomen,nausea,vomitings,altered sensorium was found to have bronchiogenic carcinoma.the electrolyte abnormality seen in him would be
1. Hypokalemia
2. Hyperkalemia
3. Hypocalcaemia
4. Hypercalcaemia

Correct answer: 4. Hypercalcaemia

Explanation: Presence of polyuria, abdominal pain and general Symptoms such as nausea, vomiting,and altered sensorium in a patuent with bronchiogenic carcinoma suggest a diagnosis of hypercalcaemia secondary to paraneoplastic syndrome from PTH related peptide production. Ref Harrison 19th edition pg 313